True about spermatids
1. Derived from primary spermatocyte
2. Derived from secondary spermatocyte
3. Undergoes mitotic division
4. Undergoes meiotic division

Correct answer: 2. Derived from secondary spermatocyte

Explanation: Spermatid is the haploid male gametes that results from division of secondary spermatocytes . as a result of meiosis, each spermatid contains only half of the genetic material present in the original primary spermatocyte., spermatids spermiogenesis to form the spermatozoa, they undergo no cell division. Ref: Gray's 39e/p-210-220